Horner Tranta's spots are seen in:
1. Vernal conjunctivitis
2. Phylectenular conjunctivitis
3. Angular conjunctivitis
4. Follicular conjunctivitis

Correct answer: 1. Vernal conjunctivitis

Explanation: Ans. Vernal conjunctivitis